In breastfeeding, hindmilk portion is richer in
1. Fats
2. Lactose
3. Vitamins
4. Proteins

Correct answer: 1. Fats

Explanation: Hind milk is rich in fat and provides more energy and satisfies the hunger of the baby. It comes towards the end of the feed.